Number of center of excellance in vision 2020 -
1. 20
2. 200
3. 2000
4. 20000

Correct answer: 1. 20

Explanation: Ans. is 'a' i.e., 20